Tylectomy literally means
1. Excision of a lump
2. Excision of a breast
3. Excision of LN
4. Excision of skin

Correct answer: 1. Excision of a lump

Explanation: Lumpectomy (sometimes known as a tylectomy, partial mastectomy, breast segmental resection or breast wide local excision) is a surgical removal of a discrete portion or "lump" of breast tissue, usually in the treatment of a malignant tumor or breast cancer. It is considered a viable breast conservation therapy, as the amount of tissue removed is limited compared to a full-breast mastectomy, and thus may have physical and emotional advantages over more disfiguring treatment. Ref: Internet